National health policy which started before 1960 is/are – a) National Filaria Control Programmeb) National Malaria Control Programmec) National Leprosy Control Programmed) National Tuberculosis Programmee) Goitre Control Programme
1. ab
2. abc
3. acd
4. bcd

Correct answer: 2. abc